What is meant by Catchment area?
1. The area draining into the reservoir
2. The area draining into rivers
3. The area draining into tanks
4. The area draining into sea water

Correct answer: 1. The area draining into the reservoir

Explanation: IMPOUNDING RESERVOIRS- These are artificial lakes constructed usually of earthwork or masonry in which large quantities of surface water is stored. Dams built across rivers and mountain streams also provide large reserves of surface water. The area draining into the reservoir is called "Catchment area".